Subacute combined degeneration of cord is due to deficiency of:-
1. Vitamin B1
2. Vitamin B6
3. Folic acid
4. Vitamin B12

Correct answer: 4. Vitamin B12

Explanation: Vitamin B12 deficiency leads to:- Megaloblastic anemia Pernicious anemia Sub-acute combined degeneration of spinal cord Peripheral neuropathy Infertility Atrophic glossitis.